Which of the following drug is commonly used in narcoanalysis ?
1. Atropine sulfate
2. Scopolamine hydrochloride
3. Phenobarbitone
4. Morphine

Correct answer: 2. Scopolamine hydrochloride

Explanation: Controlled administration of intravenous hypnotics to obtain information from subjects who are unable or unwilling to provide it otherwise, is known as Narcoanalysis or Narcosynthesis.
Drugs used for narcoanalysis are:

Ethanol
Scopolamine
Temazepam
Barbiturates like Thiopentone and Amobarbital

These drugs are also known as truth drug or truth serum.

Phenobarbitone is not used, rather amobarbital is used for narcoanalysis.